All are causes of Osteoporosis, except:
1. Thyrotoxicosis
2. Hypothyroidism
3. Chronic heparin therapy
4. Old age

Correct answer: 2. Hypothyroidism

Explanation: Answer is B (Hypothyroidism) Osteoporosis is seen with hyperthyroidism and not with hypothyroidism. Chronic heparin therapy, thyrotoxicosis and old age are all causes of osteoporosis